Interocclusal distance has a value typically between
1. 0-2mm
2. 2-4mm
3. 4-6mm
4. 6-8mm

Correct answer: 2. 2-4mm

Explanation: Interocclusal distance is the space between occluding surface of maxillary and mandibular rims, when the mandible is in its rest position.
Its value is 2-4mm and is measured at premolar region.